Which of the following is the least common feature of Multiple Myeloma -
1. Bone pain
2. Normocytic Normochromic Anemia
3. Susceptibility to bacterial Infection
4. Hyperviscosity syndrome

Correct answer: 4. Hyperviscosity syndrome

Explanation: Multiple myeloma is a malignant proliferation of plasma cells. *Anemia will be of Normo or macrocytic type. Pancytopenia will be present which predispose to bacterial infection. *Malignant plasma cells produce cytokines, which stimulate osteoclasts and result in net bone reabsorption. The resulting lytic lesions cause bone pain. Reference : Davidon, 23rd Edition, page no : 967. Hyperviscosity syndrome (HVS) is a combination of clinical signs and symptoms related to increased blood viscosity. It can result from abnormal plasma components such as paraproteins (seen in Waldenstrom's macroglobulinemia and multiple myeloma(least common ) () or immune complexes (systemic lupus erythematosis